Water is maximally reabsorbed in?
1. Collecting duct
2. Loop of Henle
3. Distal convoluted tubule
4. Proximal convoluted tubule

Correct answer: 4. Proximal convoluted tubule

Explanation: Ans. D Proximal convoluted tubuleRef: Ganong, 25th ed. pg. 680, 683About 2/3rd of filtered water is reabsorbed in the proximal convoluted tubule along with salt absorption. Other molecules absorbed here are bicarbonate, glucose, amino- acids and phosphate.